Koenen's tumor are seen in?
1. Neurofibromatosis
2. Tuberous sclerosis
3. Sturge weber syndrome
4. Tuberculosis

Correct answer: 2. Tuberous sclerosis

Explanation: Ans. (b) Tuberous sclerosisRef : Dermatology by Otto Braun falco p 846, Harrison' internal medicine 18/e, chapter 53, p 410